Which of the following is seen in apoptosis ?
1. Chromatid bodies
2. Citron bodies
3. Call Exner bodies
4. Councilman bodies

Correct answer: 4. Councilman bodies

Explanation: Councilman bodies are apoptotic bodies seen in acute vital hepatitis.